Middle superior alveolar nerve is branch of
1. Mandibular nerve
2. Maxillary nerve
3. Lingual nerve
4. Facial nerve

Correct answer: 2. Maxillary nerve

Explanation: MAXILLARY NERVE DIVISION: IN MIDDLE CRANIAL FOSSA-Meningeal branch IN PTERYGOPALATINE FOSSA-Ganglionic branches Zygomatic: a.Zygomaticotemporal b.Zygomaticofacial Posterior superior alveolar IN INFRAORBITAL CANAL-Middle superior alveolar Anterior superior alveolar ON FACE-Infraorbital:palpebral,labial,nasal Ref BDC volume 3,sixth edition pg 368